Components of innate immunity that are active against viral cells include:
1. Cytotoxic T cells
2. B cell
3. NK cells
4. All of the above

Correct answer: 3. NK cells

Explanation: Ans. C: NK cells Natural killer cells/NK cells are a type of cytotoxic lymphocyte that constitute a major component of the innate immune system. NK cells play a major role in the rejection of tumors and cells infected by viruses. They kill cells by releasing small cytoplasmic granules of proteins called perforin and granzyme that cause the target cell to die by apoptosis.